All are labile cells except
1. Bone marrow cells
2. Hepatocyte
3. Epidermal cells
4. Living cells of small intestine

Correct answer: 2. Hepatocyte

Explanation: Chemokines are a family of small proteins that act primarily as chemoattractants for specific types of Leukocytes.
They are classified into four major groups according to the arrangement of the conserved cysteine (c)
Residues in mature proteins
o When a cell proliferates, it passes through a cell cycle.
o Cell cycle has a series of phases : -
□ G1 phase → Rest phase (Presynthetic phase)
□ S phase → Synthetic phase in which the synthesis of DNA takes place.
□ G2 phase → Resting phase (Postsynthetic or postmitotic phase).
□ M phase → Mitotic phase in which mitosis takes place.